Which of the following is the main reason for resistance of enamel surface to demineralization?
1. Increased Phosphate content of surface layer
2. Decreased Magnesium content of surface layer
3. Increased Fluoride content of surface layer
4. Decreased Carbonate content of surface layer

Correct answer: 3. Increased Fluoride content of surface layer